Metal needed for function of enolase is:
1. Magnesisum
2. Calcium
3. Copper
4. Iron

Correct answer: 1. Magnesisum

Explanation: Enolase is inhibited by fluoride, and when blood samples are taken for measurement of glucose, it is collected in tubes containing fluoride to inhibit glycolysis. The enzyme is also dependent on the presence of either Mg2+ or Mn2+. The phosphate of phosphoenolpyruvate is transferred to ADP by pyruvate kinase to form two molecules of ATP per molecule of glucose oxidized. Ref: Harper 28th edition, chapter 17.